The effect of Lipotropic agents on fat metabolism is ?
1. Increases the rate of fatty acid synthesis in liver
2. Increases the rate of lipid output from liver
3. Increases the rate of cholesterol synthesis in liver
4. Decreases the rate of cholesterol synthesis in liver

Correct answer: 2. Increases the rate of lipid output from liver

Explanation: Ans. is 'b' i.e., Increases the rate of lipid output from liverLipotropic agents are substances which increase the rate of lipid output from liver and they also stimulate the rate of lipid utilization in extrahepatic tissues. This way, lipotropic agents protect liver from fatty liver changes and liver cirrhosis.